Role of bile salts
1. Vit B12 absorption
2. Formation of lipid bilayer
3. Emulsification of lipids
4. Fatty acid degradation

Correct answer: 3. Emulsification of lipids

Explanation: The bile salts have a number of important actions: they reduce surface tension and, in conjunction with phospholipids and monoglycerides, are responsible for the emulsification of fat preparatory to its digestion and absorption in the small intestine. They are amphipathic, that is, they have both hydrophilic and hydrophobic domains; one surface of the molecule is hydrophilic because the polar peptide bond and the carboxyl and hydroxyl groups are on that surface, whereas the other surface is hydrophobic. Therefore, the bile salts tend to form cylindrical disks called micelles. Their hydrophilic portions face out and their hydrophobic portions face in. Above a certain concentration, called the critical micelle concentration, all bile salts added to a solution form micelles. Lipids collect in the micelles, with cholesterol in the hydrophobic center and amphipathic phospholipids and monoglycerides lined up with their hydrophilic heads on the outside and their hydrophobic tails in the center. The micelles play an important role in keeping lipids in solution and transporting them to the brush border of the intestinalepithelial cells, where they are absorbedREF: GANONG'S REVIEW OF MEDICAL PHYSIOLOGY, KIM BARRETT, HEDDWEN BROOKS, SCOTT BOITANO, SUSAN BARMANTWENTY THIRD EDITIONPAGE NO:439,440